Kienbock's disease is osteochondritis of which bone?
1. Lower pole of patella
2. Lunate
3. Capitellum
4. Navicular

Correct answer: 2. Lunate

Explanation: Ans. is 'b' i.e., Lunate OsteochondritisNameBoneKienbocks diseaseLunatePerthes diseaseFemoral headPanners diseaseCapitullumPreiser's diseaseScaphoidJohansson Larson's diseaseOsteochondritis of lower pole of patellaFreiberg's DiseaseOsteochondritis of 5th metatarsal headCalves's diseaseCentral bony nucleus of vertebral bodyScheurman's diseaseRing apophysis of vertebraKohlers diseaseNavicularSever's diseaseCalcaneal tuberosityOsgood schattler diseaseTibial tubercle